The risk of rhegmatogenous retinal detachment is increased in all of the following except:
1. Pseudophakia
2. Trauma
3. Hyperopia
4. Lattice degeneration

Correct answer: 3. Hyperopia

Explanation: Ans. c. Hyperopia Rhegmatogenous Retinal Detachment A rhegmatogenous retinal detachment (RRD) occurs when a tear in the retina leads to fluid accumulation with a separation of the neurosensory retina from the underlying RPE MC type of retinal detachment Pathophysiology: Vitreoretinal traction is responsible for the occurrence of most RRD. As the vitreous becomes more syneretic (liquefied) with age, a posterior vitreous detachment (PVD) occurs. In most eyes, the vitreous gel separates from the retina without any sequelae. However, in certain eyes, strong vitreoretinal adhesions are present and the occurrence of a PVD can lead to a retinal tear formation; then, fluid from the liquefied vitreous can seep under the tear, leading to a retinal detachment Rhegmatogenous Retinal Detachment Predisposing Factors: Myopia Aphakia or pseudophakia Vitroretinal degeneration Lattice degeneration Snail track degeneration Diffuse chorioretinal atrophy Macular holes Posterior vitreous degeneration Trauma Vitreous loss during cataract surgery